To which of the following nuclei do the Purkinje cells of the cerebellum project the inhibitory axons?
1. Arcuate nucleus
2. Fastigial nucleus
3. Inferior olivary nucleus
4. Superior olivary nucleus

Correct answer: 2. Fastigial nucleus

Explanation: Purkinje cells project inhibitory axons to all cerebellar nuclei: fastigial, globose, emboliform, and dentate. The ventral lateral thalamic nucleus receives input from the dentate nucleus superior cerebellar peduncle. In addition, they project to all vestibular nuclei: lateral, superior, medial, and inferior. The superior olivary nucleus is an auditory relay nucleus, and the inferior olivary nucleus is a cerebellar relay nucleus. The arcuate nucleus is an ectopic pontine nucleus that lies next to the pyramidal tract, and its function is unknown.